Carcinoma thyroid with blood borne metastasis is?
1. Follicular
2. Papillary
3. Mixed
4. Medullary

Correct answer: 1. Follicular

Explanation: Ans is a Follicular